Surgical removal of torus is indicated when
1. Torus impinges on soft palate
2. It interferes with development of proper PPS
3. Torus is an undercut that traps debris and food
4. All of the above

Correct answer: 4. All of the above

Explanation: In addition to above indications, torus should also be removed when it interferes with development of adequately extended denture or when patient is too much concerned about it.